The process increasing the ability for phagocytosis of foreign bodies by body is called ?
1. Cross reactivity
2. Opsonisation
3. Immune Tolerance
4. Immune Surveillance

Correct answer: 2. Opsonisation

Explanation: Ans. is 'b' i.e., Opsonisation Opsonization . The coating of an antigen or particle (eg. infectious agent) by substances such as antibodies, complement components and fibronectin facilitate phagocytosis. . Opsonization can occur by three mechanisms : Antibody alone acts as opsonin Antibody plus antigen can activate complement classical pathway to yield opsonin. Opsonin may be produced by a heat labile system in which immunoglobulin or other factors activate C3 alternative pathway. Opsonin . A substance capable of enhancing phagocytosis. . Antibodies and complement are the two main opsonins. About other options: . Cross reactivity Some times single antigen stimulates production of variety of antibodies that more or less resemble the correct fit for the antigen. Each of these antibodies may attack different antigens that more or less resemble one another. This is known as antigen cross reactivity. . Immunological tolerance Immunological tolerance is the condition in which contact with an antigen specifically abolishes the capacity to mount an immune response against that particular antigen when it is administered subsequently. . Immunological surveillance It is the process by which cell mediated immunity destroys malignant cells that arise by somatic mutation.